Morphine causes vomiting by acting on-
1. C.T.Z
2. Gastric mucosa
3. Both of the above
4. None of the above

Correct answer: 1. C.T.Z

Explanation: Ans. is 'a' i.e., C.T.Z